Note a delayed type of hypersensitive reactions -a)  Arthus reactionb) Bronchial asthmac) Hemolytic anemiad) Multiple sclerosis
1. ab
2. bc
3. abc
4. bcd

Correct answer: 3. abc